In TB immunity is provided by -
1. CD4+
2. CD 8+
3. IgG
4. IgM

Correct answer: 1. CD4+